Lactose on hydrolysis yields
1. 2 molecules of fructose
2. 2 molecules of glucose
3. One molecule of glucose and one molecule of fructose
4. One molecule of glucose and one molecule of galactose

Correct answer: 4. One molecule of glucose and one molecule of galactose

Explanation: Lactose i. It is the sugar present in milk. It is a reducing disaccharide. On hydrolysis, lactose yields glucose and galactose. Beta glycosidic linkage is present in lactose. ii. The anomeric carbon atom of beta-galactose is attached to the 4th hydroxyl group of glucose through beta-1,4 glycosidic linkage. The lactose may be alpha or beta variety, depending on the configuration of 1st carbon of glucose moiety.Ref: DM Vasudevan, 7th edition, page no: 77